Extensor hallucis longus is supplied by -
1. Superficial peroneal nerve
2. Deep peroneal nerve
3. Tibial nerve
4. Sciatic nerve

Correct answer: 2. Deep peroneal nerve

Explanation: Ans. is "b' i.e., Deep peronael nerve Muscles of the anterior compartment of the leg and dorsum of footNerve supplyTibialis anteriorExtensor hallucis longusExtensor digitorum longusPeroneus tertiusExtensor digitorum brevisDeep peroneal nerveMuscles of the lateralcompartment of the leg Peroneus longusSuperficial peroneal nervePeroneus brevisSuperficial muscles of the back of the leg Gastrocnemius SoleusTibial nervePlantarisDeep muscles of the posterior compartment of the leg Popliteus Flexor digitorum longusTibia! nerveFlexor hallucis longusTibialis posterior